CD-99 is the marker for:
1. Ewing's sarcoma
2. SLL
3. Dermatofibroma protruberans
4. Malignant histiocytic fibroma

Correct answer: 1. Ewing's sarcoma

Explanation: . Ewing's sarcoma